One of the following is a characteristic of Henoch -Schonlein Purpura:
1. Blood in stool
2. Thrombocytopenia
3. Intracranial hemorrhage
4. Susceptibility to infection

Correct answer: 1. Blood in stool

Explanation: Answer is A (Blood in Stools) : Blood in stool (melena) and hematemesis are characteristically seen in Henoch Scholein Purpura as a manifestation of vasculitis of abdominal viscera.